Fanconi's anemia is a -
1. Constitutional anemia
2. Hemolytic anemia
3. Iron deficiency anemia
4. Auto - immune anemia

Correct answer: 1. Constitutional anemia

Explanation: Ans. is 'a' i.e., Constitutional anemia Constitutional pancytopenia o Constitutional pancytopenia is defined as decreased marrow production of the 3 major hematopoietic lineages on an inherited basis, resulting in anemia, neutropenia and thrombocytopenia. o Important causes are : - Fanconi anemia Amegakaryocytic thrombocytopenia Shwachman-Diamond syndrome Down syndrome Dyskeratosis congenita Noonan syndrome